The following statements concerning chorda tympani nerve are true except that it:
1. Carries secretomotor fibers to submandibular gland
2. Joints lingual nerve in infratemporal fossa
3. Is a branch of facial nerve
4. Contains postganglionic parasympatheticfibers

Correct answer: 4. Contains postganglionic parasympatheticfibers